The muscle relaxant that can be given in renal disease is?
1. Doxacurium
2. Pancuronium
3. Vencuronium
4. Gallium

Correct answer: 3. Vencuronium

Explanation: Ans. (c) VencuroniumRef: Fundamentals of anaesthesia by Tim Smith p-618